Which of the following incisions is taken for diaphragmatic surgery?
1. Transverse
2. Vertical
3. Radial
4. Circumferential

Correct answer: 4. Circumferential

Explanation: Circumferential incisions in the periphery result in little loss of function.